All of the following are true about the lupus anticoagulants except
1. | in APTT
2. Recurrent second trimester abortion in pregnancy females
3. Can occur without other symptoms of antiphospholipid antibody syndrome
4. Severe life threatening hemorrhage

Correct answer: 4. Severe life threatening hemorrhage

Explanation: Ans. is d, i.e. Severe life threatening hemorrhageRef. CMDT 2009, p 735, Williams Obs 23/e, p 151-1154As discussed in the text, Lupus anticoagulant name is a misnomer as it leads to thrombosis and not hemorrhage. Rest all options are true.